Which of the following obstetric condition can be detected using a Partogram?
1. Abruptio placentae
2. Obstructed labour
3. Incoordinate uterine action
4. PPH

Correct answer: 2. Obstructed labour

Explanation: A partogram is a graphic record of progress of labor that helps to detect whether labour is progressing normally or not, indicates when augmentation of labour is appropriate and assists in recognising cephalopelvic disproportion long before labour becomes obstructed. Three important parameters plotted in it are cervical dilation, cervical effacement in centimeters and descent of the presenting part in fifths palpable above the pelvic brim. The American College of Obstetricians and Gynecology Partogram consists of a latent phase of 8 hours and and an alert line starting at a cervical dilatation of 3cm and progressing at a rate of 1cm per hour. Action line lies 2 hours to the right and parallel to the alert line. Action is recommended with a delay in cervical dilatation of more than 2 hours or delay in descent of head more than 1 hour. Ref: The Partograph and How to Assess Labour By Anna Nolte page 1, Donald School Manual of Practical Problems in Obstetrics edited by Narendra Malhotra, page 489.